Unicollis bicornis means:
1. Two uterine cavity with one cervix
2. Single vagina with double uterus
3. Incomplete septum of uterus
4. Double uterus and double cervix

Correct answer: 1. Two uterine cavity with one cervix